Thayer-Martin medium is used for culture of
1. Mycobacteria
2. Neisseria
3. Moraxella
4. Salmonella

Correct answer: 2. Neisseria

Explanation: Blood agar, Chocolate agar, and Mueller-Hinton starch casein hydrolysate agar are the media commonly used for culturing meningococci.Modified Thayer-Martin (with vancomycin, Colistin, and Nystatin) is a useful selective medium.Ref: Ananthanarayan; 7th edition; Page no: 223